The ICDS scheme includes children upto.................... years of age -
1. 6
2. 10
3. 4
4. 8

Correct answer: 1. 6

Explanation: Ans. is 'a' i.e., 6